Which is not a long term adverse effect of proton pump inhibitors?
1. Pelvic fracture
2. Pneumonia
3. Vitamin -B12 deficiency
4. Hypothyroidism

Correct answer: 4. Hypothyroidism

Explanation: Proton pump inhibitors (PPI) - They are the strongest acid inhibiting drugs. - All PPI are prodrugs. - They are enteric coated - They are irreversible inhibitors of the proton pump. So, they work like hit &run drugs. - They inhibit CYP2C19. - Adverse effects o Osteoporosis (calcium deficiency) o Megaloblastic anaemia (Vitamin B12 deficiency) o Increased infection (like pneumonia) o Carcinoid tumor (seen in rats and mice) o hypergatrinemia following withdrawal of drug